In which direction carcinoma maxilla spread to presented with pain refers to upper tooth
1. Medial
2. Lateral
3. Inferior
4. Posterior

Correct answer: 3. Inferior

Explanation: i.e. (Inferior): (221-Dhingra 5th)The direction of spread and extent of growth in Carcinoma of Maxillary Sinus* Medial spread - to the nasal cavity gives rise to nasal obstruction, discharge, and epistaxis.* Anterior spread - causes swelling of the cheek and later invasion of the facial skin* Inferior spread - causes expansion of alveolus with dental pain**, loosening of teeth, poor fitting of dentures, ulceration of gingiva and swelling in the hard plate* Superior spread - invades the orbit causing proptosis, diplopia, ocular pain and epiphora* The posterior spread is into pterygomaxillary fossa pterygoid plates and the muscles causing trismus. Growth may also spread to the nasopharynx, sphenoid sinus, and base of the skull